All of the following are eligibility criteria for female sterilization, except:
1. Clients age should not be less than 22 years or more than 49 years
2. Client should be married
3. Client or her spouse must not have undergone sterilization in the past
4. At least two living children should be present

Correct answer: 4. At least two living children should be present

Explanation: Atleast one living child should be present. Sterilization New Guidelines 2014: FEMALE STERILIZATION MALE STERILIZATION - Married - Married - 22-49 yrs old female - 22-60 yrs old male - >= 1 living child should be present - >= 1 living child is present - No past history in self/ spouse sterilization - No past history in self/ spouse sterilization - MINILAP - Done by trained MBBS/ MD Gyn-obs/ DGO - Conventional vasectomy - Trained MBBS & above - Laproscopic sterilization- MD Gyn-obg /DGO - MS surgery - No scalpel vasectomy - Trained MBBS & above